The normal biting force in natural dentition and complete denture is
1. 200 N and 600 N
2. 9000 N and 7000 N
3. 100 N and 30 N
4. 600 N and 110 N

Correct answer: 4. 600 N and 110 N